40-year-old female, chronic smoker, presented to the surgical department with a reddish, painful subareolar mass in the right breast. She is most likely suffering from?
1. Carcinoma breast
2. Periductal mastitis
3. Fat necrosis
4. Granulomatous mastitis

Correct answer: 2. Periductal mastitis

Explanation: She is most likely suffering from Periductal mastitis. Aka Zuska's disease /Recurrent subareolar abscess/Squamous metaplasia of lactiferous ducts Smoking has been implicated as a risk factor. Smokers - relative Vit A deficiency - Squamous metaplasia - Obstruction - Dilation of duct Features: Subaerolar mass Pain and redness Nipple retraction Fistula formation May mimic malignancy